Torture in which legs or thighs are tied with bamboo and the torturer presses on the two sides of the clamp to cause pain is caused -
1. Falanga
2. Telefono
3. Mercelago
4. Chepuwa

Correct answer: 4. Chepuwa

Explanation: This method is called chepuwa ,it is a Bhutanese technique of torture ,causing severe pain to the victim . Ref: Dogra and Rudra Lyon's Medical Jurisprudence and Toxicology 11th edition page 693